Which type of carcinoid is associated with greatest incidence of metastasis ?
1. Appendix carcinoid
2. Colonic carcinoid
3. Hepatic carcinoid
4. Pancreatic carcinoid

Correct answer: 4. Pancreatic carcinoid

Explanation: Incidence of metastasis in different types of carcinoid are : Pancreatic Carcinoid : 71.9 %, Liver 32%, Appendix Carcinoid : 38.8 and Colonic Carcinoid is : 51. Reference: Harrisons Principles of Internal Medicine, 18th Edition, Page 3058, Table 350-3